Which antibody is associated with reduced risk of lupus nephritis in SLE?
1. Anti-ribosomal P antibody
2. Anti-histone antibody
3. Anti-La antibody
4. ANA

Correct answer: 3. Anti-La antibody

Explanation: Antibodies associated with SLE :- ANA:- most sensitive Anti ribosomal P ab:- Psychosis/Depression in SLE Anti Ro (SSA) (Anti La Ab:- Nephroprotective Anti Ro Ab :- High chance of :- Subacute cutaneous lupus. Neonatal lupus (a/w congenital Heart Block). Sicca syndrome Anti ds DNA/Anti SM Ab:- Highly specific. Anti histone Ab:- Drug induced lupus.